Epiphyseal enlargement occurs in
1. Sheurmann's disease
2. Paget's disease
3. Juvenile rheumatoid arthritis
4. Epiphyseal dysplasia

Correct answer: 3. Juvenile rheumatoid arthritis

Explanation: Epiphyseal enlargement - juvenile rheumatoid arthritis , hyperthyroidism, rickets, spondyloepiphyseal dysplasia. EPIPHYSEAL dysgenesis/ fragmented or punctuate epiphysis - Hypothyroidism.